Treatment for male pattern alopecia includes
1. Finasteride
2. Potassium channel blocker
3. Fulvestrant
4. Dexamethasone

Correct answer: 1. Finasteride

Explanation: Finasteride and dutasteride are 5 alpha reductase inhibitors; inhibit the formation of Dihydrotestosterone. So they are used in alopecia and also in BPH. Minoxidil also used in treatment. Fulvestrant is a SERD selective estrogen down regulator Ref: KD tripathi , 8th ed